The most sensitive test for H. pylori is -
1. breath test
2. Rapid urease test
3. Culture of biopsy
4. Microscopy of biopsy

Correct answer: 1. breath test